A 55-year-old female choreographer had been treated in the emergency department after she fell from the stage into the orchestra pit. Radiographs revealed fracture of the styloid process of the ulna. Disruption of the triangular fibrocartilage complex is suspected. With which of the following bones does the ulna normally articulate at the wrist?
1. Triquetrum
2. Hamate
3. Radius and lunate
4. Radius

Correct answer: 4. Radius

Explanation: Normally, the distal part of the ulna articulates only with the radius at the distal radioulnar joint at the wrist, a joint that participates in pronation/supination. The head of the ulna does not articulate with any of the carpal bones; instead, it is separated from the triquetrum and lunate bones by the triangular fibrocartilage complex between it and the radius. The pisiform articulates with the triquetrum. The carpal articulation of the radius is primarily that of the scaphoid (old name is navicular) bone.